True about sublingual gland tumor is
1. Mostly Benign
2. Painless swelling
3. Neck dissection is not done
4. All of the above

Correct answer: 2. Painless swelling

Explanation: Sublingual gland tumors are usually malignant (85%)
Present as painless hard mass.
Treated by excision and neck dissection.